Magenstrasse refers to:
1. Signs of magnesium poisoning
2. Marks of violence in case of poisoning
3. Route of acidic poisons in stomach
4. Color change of mucosa seen in corrosives

Correct answer: 3. Route of acidic poisons in stomach

Explanation: Ans. Route of acidic poisons in stomach